Cirrhotic ascites has all the features except
1. Straw colour
2. Specific gravity < 1060
3. Leucocyte count < 200/cu mm
4. Serum ascitic albumin gradient <1

Correct answer: 4. Serum ascitic albumin gradient <1

Explanation: Serum-ascites albumin gradient g/dl > 1.1 in ascitic fluid caused by cirrhosis